Staphylococcus is localized in ?
1. SSSS
2. TSS
3. Food poisoning
4. Carbuncle

Correct answer: 4. Carbuncle

Explanation: Ans. is 'd' i.e., Carbuncle Carbuncle is a localized infection of Staphylococcus.SSSS (Staphylococcal Scalded Skin Syndrome), food poisoning and TSS are toxin mediated